Lreterosigmoidostomy complications-
1. Hyperchloremic with hypokalemic acidosis
2. Hyperkalemia
3. Metabolic alkalosis
4. Hyponatremia

Correct answer: 1. Hyperchloremic with hypokalemic acidosis

Explanation: Ans. is 'a' i.e.. Hyperchloremia with hypokalemic acidosis o Hyperchloremic metabolic acidosis with hypokalemia.